Classical phenylketonuria is caused by a deficiency of
1. Phenylalanine transaminase
2. Phenylalanine hydroxylase
3. Tyrosine transaminase
4. Tyrosine hydroxylase

Correct answer: 2. Phenylalanine hydroxylase

Explanation: Classical phenylketonuria (hyperphenylalaninemia type I) → Deficiency of phenylalanine hydroxylase.
Atypical phenylketonuria (hyperphenylalaninemia type II and III) → Defect in dihydrobiopterin reductase.
Hyperphenylalaninemia type IV and V → Defect in dihydrobiopterin synthesis.